All of the following statements about synovial fluid are true, Except -
1. Secreted primarily by type A synovial cells
2. Follows Non - Newtonian fluid kinetics
3. Contains hyaluronic acid
4. Viscosity is variable

Correct answer: 1. Secreted primarily by type A synovial cells

Explanation: Synovial fluid is secreted by type B synovial cells (type B synoviocytes).
The viscous and lubricating property of synovial fluid is attributed to hyaluronic acid.
Synovial fluid is a non-newtonian thixotropic fluid and its viscosity is variable : viscosity decreases with increased rates of shear (increased speed of joint movement).